What enhances multiplication of T cells in culture
1. Phytohemagglutinin
2. Chemotactic factor
3. Leukotrienes
4. Prostaglandins

Correct answer: 1. Phytohemagglutinin

Explanation: Option 1, 2, 3, 4 Mitogens like Phytohemagglutinin (PHA), Concanavalin (Con A), and Anti CD-3 induces T-cell blast transformation (multiplication). Option 2 Eosinophil chemotactic factor (ECF-A)- Eosinophil chemotaxis Neutrophil chemotactic factor (NCF-A)- Neutrophil chemotaxis Option 3, 4 Various cells and complement components of innate immunity cordinate and exert their effects through the production of soluble mediators. These mediators include cytokines, prostaglandins, and leukotrienes. Mediators released from activated macrophages and other cells include prostaglandins and leukotrienes. These inflammatory mediators regulate changes in local blood vessels such as vasodilataion During dilation, plasma escapes and accumulates in the area of injury. Fibrin is formed which occludes the lymphatic channels, limiting the spread of organisms. Prostaglandins and leukotrienes in Type I Hypersensitivity: Prostaglandins and leukotrienes are newly formed mediators derived from arachidonic acid the cyclooxygenase pathway. Prostaglandins induce edema and bronchoconstriction. Leukotriene B4 is a chemoattractant that activates and recruits leukocytes to the site of injury. Leukotrienes C4 and D4 cause vasodilation and vascular permeability. These mediators, along with TNF-a and IL-4, are referred to as secondary mediators of a type I reaction.